Gate control theory of pain is due to
1. Substantial gelatinosa
2. A delta fibres
3. C-fibres
4. Free nerve endings

Correct answer: 1. Substantial gelatinosa